Investigation to diagnose the Laryngo pharyngeal reflux
1. Esophageal pH monitoring
2. Dual Probe Impedance pH monitoring
3. Barium Esophagogram
4. Scintigraphy

Correct answer: 2. Dual Probe Impedance pH monitoring

Explanation: Ans. (b) Dual Probe Impedance pH MonitoringRef: Shackelford Page 222/8th Edition* pH monitoring at the level of Pharynx is not helpful because the acid refluxed is neutralized by the Pharyngeal secretions.* Hence a Dual (Bifurcated) catheter measuring both pH and Impedance is used across Upper esophageal sphincter, thereby permitting detection of Pharyngeal reflux